Most common benign heart tumor is:
1. Rhabdomyoma
2. Hemangioma
3. Lipoma
4. Myxoma

Correct answer: 4. Myxoma

Explanation: Myxomas are the most common primary tumor of the heart in adults. They are benign in nature. 90% are located in the atria, with a left-to-right ratio of approximately 4:1 (atrial myxomas). The tumors are almost always single. Favored site of origin : fossa ovalis in the atrial septum Histopathology of Myxoma: - LEPIDIC CELLS - seen in presence of MYXOID MATRIX.